1:1 ratio of myelination is seen jn
1. Schwann cells
2. Oligeodendrocytes
3. Both
4. None

Correct answer: 1. Schwann cells

Explanation: Schwann cells myelinte pns The myelinate one neuron only Ref:Guyton and Hall textbook of medical physiology 12th edition,page number: 72,73